The functions of myoepithelial cells may be
1. Initiating contraction
2. Support for the end piece during active secretion of saliva
3. Provide signals to the acinar secretary cells for c) structural organization
4. All of the above

Correct answer: 4. All of the above